A case of vasectomy is said to have failed as the vasectomised person's wife gives birth to a child ten months after the operation. Which one of the following is the most probable cause :
1. Failure of the husband to use a condom after vasectomy
2. Surgical failure
3. Recanalisation
4. Wife had extra -- marital contact

Correct answer: 1. Failure of the husband to use a condom after vasectomy

Explanation: Failure of the husband to use a condom after vasectomy